Ganciclovir is more effective than acyclovir against
1. CMV
2. Influenza
3. Herpes
4. Toxoplasmosis

Correct answer: 1. CMV